In syndrome X, patients have all of the following except-
1. Angina like chest pain
2. Ischemic ST segment depression
3. Abnormal coronary arteriogram
4. Excellent prognosis choice in

Correct answer: 3. Abnormal coronary arteriogram

Explanation: Cardiac syndrome X (CSX) is typical anginalike chest pain with evidence of myocardial ischemia in the absence of flow-limiting stenosis on coronary angiography. Cannon et al termed this entity, characterized by a decrease in coronary flow reserve without epicardial artery stenosis, microvascular angina. Ref Harrison 20th edition pg 1435